Reis-Buckler dystrophy affects which layer of cornea
1. Epithelium
2. Stroma
3. Bowman's membrane
4. Endothelium

Correct answer: 3. Bowman's membrane

Explanation: Ans. is 'c' i.e., Bowman's membrane